Chandler's index is used for -
1. Ankylostoma duodenale
2. Ascaris lumbricoides
3. Strongyloides
4. Trichuris trichiura

Correct answer: 1. Ankylostoma duodenale